Swelling of thyroid gland, that does not move with deglutition is/are:
1. Retrosternal goiter.
2. Riedel's goiter.
3. Anaplastic carcinoma.
4. All of the above.

Correct answer: 4. All of the above.